The inguinal canal is NOT bounded posteriorly by -a) Transversalis fascia b)  Internal oblique tendonc) Conjoint tendond) Lacunar ligament
1. bd
2. ab
3. acd
4. bcd

Correct answer: 1. bd

Explanation: Inguinal canal- Posterior wall formation
-        Medial 2/3- Conjoint tendon and reflected part of inguinal ligament
-        Whole- Fascia transversalis, extraperitoneal connective tissue, parietal peritoneum.